Linear accelerator produces:
1. X-rays
2. Gamma rays
3. Beta rays
4. Neutrons

Correct answer: 1. X-rays

Explanation: X-rays